Caseation necrosis is suggestive of:
1. Tuberculosis
2. Sarcoidosis
3. Leprosy
4. Midline lethal granuloma

Correct answer: 1. Tuberculosis